Lymphoid tissue called Waldeyer's ring is situated in:
1. Nasopharynx
2. Oropharynx
3. Both nasopharynx and oropharynx
4. Base of tongue

Correct answer: 3. Both nasopharynx and oropharynx

Explanation: Waldeyer's ring consists of subepilhelial collection of lymphoid tissue. It comprises adenoid, tubal tonsil (both in nasopharynx) and palatine tonsils, lingual tonsils and granules in posterior pharyngeal wall (in oropharynx).